What amount of Tryptophan produces 1gm of niacin?
1. 40mg
2. 50mg
3. 60mg
4. 70mg

Correct answer: 3. 60mg

Explanation: Niacin (1 mg of niacin is formed from 60 mg of tryptophan).